Which one of the following blood fractions is stored at - 40degC?-
1. Cryprecipitate
2. Human albumin
3. Platelet concentrate
4. Packed red cells

Correct answer: 1. Cryprecipitate

Explanation: Ans. is 'a' i.e., Cryprecipitate